In genetic deficiency of MPO, the increased susceptibility to infection is due to:
1. Defective production of Prostaglandins
2. Defective rolling of' neutrophils
3. Inability to produce hydroxyl halide radicals
4. Inability to produce hydrogen peroxide

Correct answer: 3. Inability to produce hydroxyl halide radicals

Explanation: In MPO deficiency there is decreased microbial killing because of defective MPO--H2O2 system, so there is an inability to produce hydroxyl halide radicals.